Delayed prolonged bleeding after a minor surgery is caused by defect in
1. Primary hemostasis.
2. Secondary hemostasis.
3. Defect in capillary bed to support the clot.
4. Defect in connective tissue to support capillaries

Correct answer: 2. Secondary hemostasis.